Recent studies suggest causative organism of Bells palsy is
1. Herpes virus
2. HIV virus
3. Papilloma virus
4. Rota virus

Correct answer: 1. Herpes virus

Explanation: (Herpes virus): (105- Dhingra 5th edition; 185- P. Hazarika 3rd/ed)Bell's palsyViral theory - Most of the evidence support the viral aetiology due to herpes simplex herpes zoster or the EB virus (105-D)* Viral infection like Herpes zoster, poliomyelitis and infectious mononucleosis which proves that facial nerve is very prone for viral infections (185- Hazarika)* Herpes simplex virus (HSV-1) has been known to cause fascial paralysisBell's phenomenon - The patient will not be able to close the eye on the affected side. The eyeball will roll up on every attempt of closure